Rubor in inflammation is due to -
1. Dilation of arterioles
2. Increased vascular permeability
3. Increased viscocity of blood
4. Edema

Correct answer: 1. Dilation of arterioles

Explanation: Ans. is 'a' i.e., Dilation of arterioles